Which of the following statement is false about cardinal movements during breech delivery
1. Fetal head is born by flexion
2. The back of fetus is directed posteriorly
3. Anterior hip usually descends more rapidly than posterior hip.
4. Engagement and descent usually occur with bitrochanteric diameter in oblique plane

Correct answer: 2. The back of fetus is directed posteriorly

Explanation: The back of fetus is directed anteriorly.